A person on fat free, carbohydrate-rich diet, continues to grow obese. Which lipoprotein is increased in this person's blood:
1. LDL
2. HDL
3. VLDL
4. Chylomicrons

Correct answer: 3. VLDL

Explanation: Carbohydrate-rich diet will lead to increase in Acetyl CoA production, which will lead to synthesis of fats in body. These fats are endogenous fat, which are transported in the form of VLDL. ADDITIONAL EDGE: When exogenous fat (fat directly from diet) is taken then it is transported in the form of chylomicrons. Atkin's diet is a weight loss diet which is low in calorie and also low in carbohydrates. It was originally promoted by the physician Dr. Robert C. Atkins. For weight reduction, the amount of carbohydrates taken in the diet should be less as carbohydrate gets converted to fats in the body, which is called endogenous fat.